Which of the following is the most common cause of "reversible" dementia in geriatric population?
1. Depression
2. Normal Pressure Hydrocephalus
3. Hypothyroidism
4. Vit B12 deficiency

Correct answer: 1. Depression

Explanation: The three most common potentially reversible diagnoses were depression, normal pressure hydrocephalus (NPH), and alcohol dependence; medication side effects are also common and should be considered in every patient There are several clearly reversible causes of dementia that are remembered by the mnemonic DEMENTIA:Drugs (any drug with anticholinergic activity), Emotional- depression, Metabolic (hypothyroid), Eyes and ears declining, Normal pressure hydrocephalus tumor or other space-occupying lesions, Infection (syphilis, AIDS), Anaemia (vitamin B12 or folate deficiency).Harrison 19 e pg: 171